Busulfan toxicity does not include -
1. Hyperpigmentation
2. Toxic carditis
3. Hyperuricemia
4. Pulmonary fibrosis

Correct answer: 2. Toxic carditis

Explanation: Ans. is 'b' i.e., Toxic carditis o Adverse effects of busulfan --> Myelosuppression, hyperuricemia, pulmonary fibrosis, sterility, impotence, amenorrhea, addison's disease like syndrome (asthenia and hypotension). o High dose causes veno-occlusive disease of liver, seizures, hemorrhagic cystitis, alopecia, cataract. About option 'a' - In addison's disease there is hyperpigmentation (Busulfan causes addison's disease like syndrome).